Which of the following is the earliest finding seen in Diabetic nephropathy?
1. Hematuria
2. Macroalbuminuria
3. Microalbuminuria
4. Exudates

Correct answer: 3. Microalbuminuria

Explanation: Sequence of changes in Diabetic nephropathy: Increase in GFR (EARLIEST MANIFESTATION) Microalbuminuria (30-300 mg/gm (moderately | albuminuria)) Macroalbuminuria End stage renal disease. NOTE: Microalbuminuria is the Most Reliable marker of diabetic nephropathy.